Deep transverse arrest is seen In alt except
1. Android pelvis
2. Epidural analgesia
3. Transverse lie
4. Uterine inertia

Correct answer: 3. Transverse lie

Explanation: Deep transverse arrest is defined as the head being arrested with the sagital suture in the transverse diameter at the level of ischial spnes,after full dilatation of cervix and in spite of good uterine contractions.This can occur ib an android pelvis where there is beaking of forepelvis and sacrum lacks normal curvature . other reasons for failure of rotation includes deflexion of head,inefficient utetine contactions,weak pelvic floor preventing anterior rotation,pendulous abdomen and muscle tone. Refer page no 369 of Text book of obsetrics sheila balakrishnan.